True about minoxidil is:
1. Increases hair growth
2. Antihypertensive
3. Both
4. None

Correct answer: 3. Both

Explanation: cRef: KDT, 5th ed, p. 512 & 4th ed, p. 549